Substitution of which one of the following amino acids in place of alanine would increase the absorbance of proteins at 280 mm:
1. Leucine
2. Arginine
3. Tryptophan
4. Protein

Correct answer: 3. Tryptophan

Explanation: The only amino acids that may absorb light are Aromatic amino acids i.e. Tryptophan, Tyrosine, Phenylalanine & Histidine- Most a.a do not absorb visible light & are thus colourless- Aromatic aminoacids absorb ultraviolet light (250- 290 nm).- Tryptophan makes major contribution to ability of most proteins to absorb light in the region of 280 nm.